True about typhoid is -
1. Incubation period 3-6 weeks
2. Chronic carrier is 10-15%
3. Widal test is specific
4. Vi polysaccharide of bacterial cell used for vaccination

Correct answer: 4. Vi polysaccharide of bacterial cell used for vaccination

Explanation: Ans. is 'd' i.e., Vi polysaccharide of bacterial cell used for vaccination